The facial artery terminates in the anastomosis with
1. Opposite side of the facial artery
2. Transverse facial artery
3. Anastomosis with Infra orbital artery
4. Branch of the ophthalmic artery

Correct answer: 4. Branch of the ophthalmic artery

Explanation: D. i.e. (Branch of the ophthalmic artery) (57-58-BDC 3rd)* FACIAL - ARTERY - Branch of the external carotid artery*** It lies deep to the sub mandibular salivary gland and emerges and bends around the lower border of the mandible. It then ascends over the face close to the anterior border of the masseter muscle. The artery then ascends around the lateral margin of the mouth and terminates at the medial angle of the eye by anastomosing with the dorsal nasal branch of the ophthalmic artery.